"Creola Bodies" in sputum are pathognomonic of
1. Bronchial Asthma
2. Chronic Bronchitis
3. Bronchogenic Carcinoma
4. Pulmonary Tuberculosis

Correct answer: 1. Bronchial Asthma

Explanation: Creola bodies are clumps of benign ciliated respiratory epithelium. They can be seen in spontaneously expectorated sputum of asthmatic patients, as well as in cytology preparations of bronchoalveolar lavage specimens.Other common findings in the sputum of asthma patients include Charcot-Leyden crystals,Curschmann's spirals, and eosinophils.